During the neonatology ward rounds, the nurse brought a clinical situation to your attention. Which of the following is false regarding transient tachypnea of the newborn?
1. It is due to delayed clearance of lung fluids
2. X - ray may show prominent vascular markings with prominent interlobar fissure
3. Ventilatory support may be needed in most cases
4. Prognosis is good

Correct answer: 3. Ventilatory support may be needed in most cases

Explanation: Transient tachypnea of newborn is a benign self limiting disease occurring in term neonates. Symptomatic management is adequate and ventilatory support is never needed. Ref: O P Ghai, 5th Edition, Page 147.